Weight of 1 cc of air at normal pressure and temperature
1. 0.001297g
2. 0.002345g
3. 0.004g
4. 1.OOOg

Correct answer: 1. 0.001297g

Explanation: Ans: a (0.001297g)Weight of 1 cc of air at normal temperature and pressure is 0.001297g